Pathological changes of diabetic nephropathy are all except -
1. Fibrin caps and capsular drops
2. Intercapillary glomerulosclerosis
3. Focal sclerosis
4. Capillary basement membrane thickening

Correct answer: 3. Focal sclerosis